Ideal fluid of choice in a 35 year old man presenting with acute pancreatitis
1. Isotonic crystalloid by IV line
2. Hypertonic saline by IV line
3. Hypotonic saline by central line
4. Vasopressin

Correct answer: 1. Isotonic crystalloid by IV line

Explanation: While there are proponents for agrressive fluid therapy and for specific resuscitation goals, it is probably best to resuscitate with a balanced crystalloid and to restore normal blood volume, blood pressure and urine output. On the basis of recent data it appears that lactated Ringer's solution may be superior to normal saline in reducing the systemic Inflammatory response Ref: schwaz's principle of surgery 10th edition Pgno : 1358